Which of the following infection affects fetal growth?
1. CMV
2. Rubella
3. Herpes simplex
4. All

Correct answer: 4. All

Explanation: Ans: d (All) Ref: Dutta, 6th ed, p. 296All the above infections cause IUGR.Causes oflUGR:3. Placental* Placenta previa* Abruptio placenta* Circumvallate placenta* Infarction4. Idiopathic - 40%1. Maternal* Constitutional* Maternal nutrition* Maternal diseases - anaemia, HTN, heart disease etc.* Toxins - alcohol, drugs, smoking2. Fetal* Chromosomal abnormalities - Trisomies 13,18,21 and Turner syndrome.* Structural abnormalities - C VS, renal etc* Infections - Toxoplasma, rubella, CMV, HSV, malaria.* Multiple pregnancy